The following is a marker of acute hepatitis B infection -
1. DNA polymerase
2. Hepatitis core antigen
3. Anti HBs
4. IgG to core antigen

Correct answer: 1. DNA polymerase